Sufentanyl is a potent –
1. Myocardial depressant
2. Analgesic
3. Antic onvulsnt
4. Hepatotoxin

Correct answer: 2. Analgesic

Explanation: Sufentanil is a short acting opioid analgesic, which can be used in anaesthesia.